Which is not a method of crime scene search
1. Vertical search method
2. Strip search method
3. Grid method
4. Quadrant method

Correct answer: 1. Vertical search method

Explanation: Crime scene search - Spiral search method - Strip search method - Grid method - Quadrant method Crime Scene Search After collecting information about the crime scene, a quick survey should be done and actual crime scene search should be done. Different methods a. Spiral search method: In this method the search is started from a central point in the scene and then the single investigator walks in an outward spiral covering the whole area. b. Grid method: In this method the whole crime scene is divided into a grid and each of the grids are carefully searched for evidence. Multiple investigators can search the scene. C. Strip or line search: In this method a single investigator starts searching the scene from one end and covers the whole scene in straight lines returning from side to side. d. Quadrant or zone search: In this method the whole area is divided into quadrants and each of the quadrants are searched by one or more investigators